Nephrotoxic agent is –
1. Methoxy flurone
2. Isoflurone
3. Halothane
4. N2O

Correct answer: 1. Methoxy flurone

Explanation: Methoxyflurane is most nephrotoxic can cause high output (polyuric) renal failure.